Foam cells in atherosclerosis contain lipid in the form of ?
1. Oxidized LDL
2. Reduced LDL
3. Oxidized VLDL
4. Reduced VLDI

Correct answer: 1. Oxidized LDL

Explanation: Ans. is 'a' i.e., Oxidized LDLMorphology of atherosclerotic plaque There are three major components of an atherosclerotic plaques :-i) Cells : Smooth muscle cell and macrophages are the major cells with some contribution from foam cells (lipid-laden macrophages), and lymphocytes. Advanced atherosclerotic plaque may lack smooth muscles as smooth muscle cells undergo apoptosis.ii) Extracellular matrix : Collagen, elastic fibers, proteoglycans.iii) Lipids : Both intracellular and extracellular, with cholesterol and cholesterol ester being the major lipids.